IOC for aortic dissection in unstable patient
1. CT scan
2. MRI
3. TEE
4. PET

Correct answer: 3. TEE

Explanation: Stable patient - MRI.
Unstable patient - TEE (Trans esophageal Echo).